A male neonate is born with an omphalocele. This entity can be distinguished from gastroschisis, because in an omphalocele, the protrusion is:
1. Not covered by a sac
2. A defect in the abdominal musculature
3. Associated with Intestinal atresia
4. Associated with congenital malformations

Correct answer: 4. Associated with congenital malformations

Explanation: Abdominal wall defects Omphalocele- Intestine fails return to the intra-abdominal cavity- Covered by 2 layers* Amnion* Peritoneum- For Small defect - Protrusion of small amounts of bowel- For Large defect - Protrusion of small bowel along with liver- Associated with Trisomy 13, 18, 21- Associated with congenital malformations - CVS > Musculoskeletal system >Gastrointestinal system > Genito urinary system- MC cause of death - congenital malformations- Associated with BECKWITH - WEIDMAN SYNDROME (variant of Wilms tumour)* Hemi hypertrophy* Macroglossia* Visceromegaly* Omphalocele* Hepatoblastoma- Poor prognosis (associated with congenital malformations) Gastroschisis- Splitting of abdominal wall from right side with herniation of bowel.- Bowel is exposed, not covered and becomes thickened,matted and edematous- Associated with Intestinal atresiaRisk factors- If mother has history of intake of* Alcohol* Smoking* Aspirin during first trimester* Ibuprofen* Pseudoephedrine- Age of mother - < 20 years age- Not associated with congenital anomalies - so good prognosis